Pentose phosphate pathway (HMP shunt pathway) produces
1. ATP
2. ADP
3. NADH
4. NADPH

Correct answer: 4. NADPH

Explanation: HMP shunt pathway gives NADPH and ribose-5-phosphate.